Among the following options Acute Anterior uveitis is most commonly associated with
1. Reiter Syndrome
2. Ankylosing spondylitis
3. Psoriatic arthritis
4. Juvenile Rheumatoid arthritis

Correct answer: 2. Ankylosing spondylitis

Explanation: Acute anterior Uveitis with arthritis is most commonly seen in Ankylosing spondylitis.